Management of Frey's syndrome include following except:
1. Botulinum toxin
2. Temporal fascial graft
3. Aluminium chloride
4. Antiperspirants

Correct answer: 2. Temporal fascial graft

Explanation: Temporal fascial graft is used to prevent Frey's syndrome following parotidectomy. It is not used in the management of Frey's syndrome. There are a number of quite invasive techniques described to prevent Frey's syndrome following parotidectomy. These include: -Sternomastoid muscle flap; -Temporalis fascial flap; -Insertion of artificial membranes between the skin and the parotid bed. All these methods replace the barrier between the skin and the parotid bed to minimise inappropriate regeneration of autonomic nerve fibres. Methods of managing Frey's syndrome include: -Antiperspirants, usually containing aluminium chloride; -Denervation by tympanic neurectomy; -The injection of botulinum toxin into the affected skin. The last is the most effective and can be performed as an out-patient.